A 58-year-old woman undergoes routine colonoscopy. A 2-cm submucosal nodule is identified in the appendix. Biopsy of the nodule shows nests of cells with round, uniform nuclei. Electron microscopy reveals numerous neuroendocrine granules in the cytoplasm. This patient's neoplastic disease is associated with which of the following clinical features?
1. Congestive heart failure
2. Flushing and wheezing
3. Muscular dystrophy
4. Progressive systemic sclerosis

Correct answer: 2. Flushing and wheezing

Explanation: Patient is having carcinoid syndrome Carcinoid syndrome is a systemic paraneoplastic disease caused by the release of hormones from carcinoid tumors ( neuroendocrine granules) into venous blood. M/c site : GIT > Bronchus Symptoms:- Flushing Bronchial wheezing Watery diarrhea Abdominal colic are caused by the release of serotonin, bradykinin, and histamine. Histology : nests of cells with round, uniform nuclei Immunohistochemical (IHC) markers for carcinoid tumors: Neuron-specific enolase Synaptophysin Chromogranin A Leu 7 The other choices are not associated with this paraneoplastic syndrome.